Not a feature of Venal keratoconjunctivitis is
1. More common in summers
2. Cobble stone appearance
3. Fascicular corneal ulcer
4. Keratoconus

Correct answer: 3. Fascicular corneal ulcer

Explanation: Fascicular ulcer is seen in Phlyctenular keratoconjunc vi s.